Which of the following is a negative stain-
1. Negrosin
2. Fonatana
3. ZN stain
4. Albert stain

Correct answer: 1. Negrosin

Explanation: list of negative stains: Nigrosin (a black synthetic dye) or India ink (an aqueous suspension of carbon particles) Phosphotungstic acid is a common negative stain for viruses, nerves, polysaccharides, and other biological tissue materials.